Quinolone antibiotic with broad Gram-negative and Gram-positive activity is
1. Piperacillin
2. Cefoperazone
3. Ceftriaxone
4. Ciprofloxacin

Correct answer: 4. Ciprofloxacin

Explanation: Many new antibiotics have become available during the past few years. Although expensive, these antibiotics generally have a broader spectrum of effectiveness than the ones they are intended to replace. Resistance to these newly introduced agents may be a problem that will minimize their effects on the treatment of infectious disease. While most are labeled broad spectrum, each appears to be characteristically more effective against some organisms than others.Ceftriaxone is a new-third generation cephalosporin. It is administered once a day either intravenously or intramuscularly. Ceftriaxone is used against a wide variety of Gram-negative rods, it has found special use in the treatment of Lyme disease. It is now claimed to be the most effective antibiotic for borreliosis.